A patient with Hodgkin's lymphoma presents with isolated cervical lymphadenopathy. Biopsy from the lesion shows characteristic lacunar cells. The treatment of choice for this patient is:
1. Chemotherapy with Radiotherapy
2. Chemotherapy alone
3. Radiotherapy alone
4. No treatment needed

Correct answer: 1. Chemotherapy with Radiotherapy

Explanation: Answer is A (Chemotherapy with Radiotherapy) Combined modality treatment with Chemotherapy and Radiotherapy is the treatment of choice in limited stage (stage III Hodgkin's lymphoma with a classical Histological subtype. Patient has limited Stage I Hodgkin's Lymphoma Patient in question presents with involvement of single lymph node region and hence can be staged as having stage I (Limited) disease. Stage I Disease Involvement of single lymph node region. Patient has a classical Hodgkin's Lymphoma of nodular sclerosis subtype The presence of frequent Lacuner cells suggests a diagnosis of nodular sclerosis Hodgkins lymphoma Classical Hodgkin's Non classical Hodgkins Nodular sclerosis (Lacunar cells) Mixed cellularity (Mononuclear cells) Lymphocyte rich (Mononuclear cells) Lymphocyte depletion Nodular lymphocyte predominance Hodgkins NLPHL (popcorn cell/lymphohistiocytic cell) The treatment of choice for limited Stage I Classical Hodgkins Lymphoma is combined modality therapy with Chemotherapy and Radiotherapy